The majority of cases of community acquired pneumomia are due to infection with-
1. Legionella pneumophila
2. Streptococcus pneumoniae
3. Haemophilus influenzae
4. Staphylococcus aureus

Correct answer: 2. Streptococcus pneumoniae

Explanation: The most common infective agent of community acquired pneumonia is Streptococcus pneumoniae.Most cases are spread by droplet infection.Viral infections are important causes of CAP in children. Reference:Davidson's Medicine-22nd edition,page no:682